Multiple infection of RBC is seen with -
1. Plasmodium ovale
2. Plasmodium vivax
3. Plasmodium falciparum
4. Plasmodium malariae

Correct answer: 3. Plasmodium falciparum

Explanation: In erythrocytic schizogony- P. falciparum - more than one parasite (2-6) invade an erythrocyte. Plasmodium vivax, Plasmodium malariae and Plasmodium ovale - single parasite with in RBC.